Low molecular weight dextran is contra indicated in -
1. Foetal distress syndrome
2. Cerebrovascular accident
3. Electrical burns
4. Thrombocytopenia

Correct answer: 4. Thrombocytopenia

Explanation: Dextran interfere with Platelet function.